Which of the following protein is biologically complete?
1. Egg
2. Milk
3. Both of the above
4. None of the above

Correct answer: 3. Both of the above

Explanation: A protein is said to be biologically complete if it contains all essential amino acids in amount corresponding to human needs. Examples are milk and egg. Ref: Park 22nd edition, page 564.